All are true about pheochromocy except-
1. 90% are malignant
2. 95% occur in the abdomen
3. They secrete catecholamines
4. They arise from symathetic ganlions

Correct answer: 1. 90% are malignant

Explanation: 10% malignant ( Harrison 17 pg 2269)